All of the following statements about Sternberg canal are true, except
1. Located anterior and medial to Foramen Rotundum
2. Located posterior and lateral to Foramen Rotundum
3. Represents persistant craniopharyngeal canal
4. Cause of intrasphenoidol meningocele

Correct answer: 2. Located posterior and lateral to Foramen Rotundum

Explanation: Sternberg's canal is antero-medial to the foramen rotundum (a) and not postero-lateral (b). It is situated at the attachment of posterior root of lesser wing to the body of sphenoid. The canal lies was identified by Sternberg (1888) between the ossification centres of the 3 parts of sphenoid bone. His studies showed the constant presence of the canal in children at the age of 3-4 years and an incidence of 4% in adults. Sternberg's canal is the lateral cranio-pharyngeal canal connecting middle cranial fossa with the nasopharynx. This canal is considered as the congenital origin for the intra-sphenoidal meningocele (c). Sometimes a medial craniopharyngeal canal may be observed, running from the anterior part of the hypophyseal fossa to the exterior of the skull. The Sternberg's canal is in the para-sellar region of middle cranial fossa and communicates with the sphenoidal sinus as well as with the pterygopalatine fossa and/or the nasopharynx depending upon the course of the canal. Infection (d) may be carried from the nasopharynx towards the sphenoidal sinus the canal. Ref - Pg. 246, 467; Gray's Anatomy